True about polio -
1. Paralytic polio is most common
2. Spastic paralysis
3. IM injections and increased muscular activity lead to increased paralysis
4. Polio drop given only in < 3 year

Correct answer: 3. IM injections and increased muscular activity lead to increased paralysis